Nucleus of cerebellum responsible for slow pursuit and saccades:
1. Dentate
2. Fastigial
3. Emboliformis
4. Globose

Correct answer: 2. Fastigial

Explanation: Ans. B. FastigialRole of cerebellum in ocular motor functions:a. Flocculus: high-frequency (brief) vestibular responses, sustained pursuit eye movements, and gaze holdingb. Nodulus/ventral uvula: low-frequency (sustained) vestibular responses, downward smooth pursuitc. Dorsal oculomotor vermis and fastigial nucleus: for saccades and pursuit initiation.